Cobble stoning of intestine with string sign of lean tor is seen in:
1. Crohn's disease
2. Ulcerative colitis
3. Ischemic colitis
4. Amoebic colitis

Correct answer: 1. Crohn's disease

Explanation: Ans. (a) Crohn's disease* Cobble stone mucosa is appearance of the intestinal mucosa in Crohn's disease to the endoscopist,. Cobblestoning refers to the uniform nodules-due to the sub-mucosal fibrosis.* String sign of Kantor is due to involvement of the terminal ileum in Crohn's disease.* It is caused by severe spasm due to irritability of the loop producing the appearance of a frayed cotton string.* Subsequently the wall of the ileum may become fibrotic and the lumen fixed in diameter.